A 9-month-old girl is brought with PR bleed, vomiting, mass in right lumbar region with masked liver dullness. She is in shock like condition. Management should include all of the following EXCEPT?
1. Barium enema
2. IV fluid
3. Give O2
4. Nasogastric tube

Correct answer: 1. Barium enema

Explanation: * In patients with prolonged intussusception with signs of shock, peritoneal irritation, intestinal perforation, reduction (with barium, saline or air) should not be attempted * Urgent laprotomy should be planned * But the first priority is urgent resuscitation ie A, B, C (airway, breathing, circulation). Hence in case of shock, and as the child in question is also vomiting, she should be made NPO and Nasogastric tube insertion should be done.